Amniotic fluid embolism cause:
1. Shock
2. DIC
3. Bleeding tendency
4. All of the above

Correct answer: 4. All of the above

Explanation: Ans. is d, i.e. All of the aboveRef. COGDT 10/e, p 992, fora and c, 997, ford; Sheila Balakrishnan, 1/e, p 490, 491Amniotic fluid embolism:It is usually fatal and is characterized by an abrupt onset of respiratory distress and coagulopathy.It should be considered in all cases of peripartum collapse.It is diagnosed clinicallyClinical features: are due to 2 components:i. Embolic component causes acute respiratory distress syndrome and ultimately death.ii. Coagulation failure causes hemorrhage, DIC and consumptive coagulopathy.Classically a woman in late labor or immediate postpartium gasps for air, has bronchospasm, becomes cyanotic and undergoes immediate collapse and cardiorespiratory arrest usually accompanied by Hemorrhage.QSudden death is usual.Timing:After ARM and at cesarean section.In labor with strong uterine contractions.Immediate postpartum.